A 20 yr old male was found dead in his home. Family claimed it as dead due to sudden MI What is the best test to distinguish antemortem from post-mortem clot?
1. Lines of Zahn
2. Chicken fat
3. Red cells
4. White cells

Correct answer: 1. Lines of Zahn

Explanation: Ans. (a) Lines of ZahnLine of Zahn are due to alternate pale layers of platelets with fibrin & darker layers (marked with arrow)with more RBCs.These lines distinguish antemortem clots from the bland non-laminated clots postmortem Q clots